Retinoblastoma gene is located on chromosome ?
1. 6
2. 9
3. 13
4. 21

Correct answer: 3. 13

Explanation: Ans. is 'c' i.e., 13